The occurrence of keratinization on the human gingiva is
1. Dependent upon the functional stimulation the attached gingival receives
2. A reflection of inflammation in the underlying gingival connective tissue
3. A variable factor directly related to age
4. Lacking in the gingival crevice

Correct answer: 4. Lacking in the gingival crevice